Primary action of inferior oblique muscle is -
1. Abduction
2. Adduction
3. Extorsion
4. Elevation

Correct answer: 3. Extorsion

Explanation: Ans. is 'c' i.e., Extorsion MusclePrimary ActionSecondary ActionSuperior rectusElevationAdduction and intorsionInferior rectusDepressionAdduction and extorsionMedial rectusAdduction Lateral rectusAbduction Superior obliqueIntorsionAbduction and depressionInferior obliqueExtorsionAbduction and elevation